Attachment of Ebstein Barr virus in nasopharynx is mediated through:
1. CD 4
2. CD 3
3. CD 8
4. CD 21

Correct answer: 4. CD 21

Explanation: Ans. D. CD 21Attachment of Ebstein Barr virus in nasopharynx is mediated through CD 21 or CR 2 on B lymphocytes. This is also a receptor for C3b.